High calcium uptake leads to-
1. Milk alkali syndrome
2. Osteopoijosjs
3. Osteopetrosis
4. Cardiomyopathy

Correct answer: 1. Milk alkali syndrome

Explanation: Milk-alkali syndrome is characterized by high blood calcium and metabolic alkalosis caused by taking in too much calcium and absorbable alkali; common sources of calcium and alkali are dietary supplements taken to prevent osteoporosis and antacids. Ref - harrisons internal medicine 20e p313, 2912, 2933